Most common presentation in nasopharyngeal carcinoma is with -
1. Epistaxis
2. Hoarseness of voice
3. Nasal stuffiness
4. Cervical lymphadenopathy

Correct answer: 4. Cervical lymphadenopathy

Explanation: Clinical presentation

Presenting symptoms and signs of nasopharyngeal carcinoma in order of frequency are:- 

> Cervical lymphadenopathy (most common) (60-90%) > Hearing loss > Nasal obstruction > Epistaxis > Cranial nerve palsies. CN VI paralysis is the most common of these > a Headache > an Earache > Neck pain > Weight loss.